Location of the nasolacrimal duct:
1. Inferior meatus
2. Superior meatus
3. Sphenoethmoidal recess
4. Middle meatus

Correct answer: 1. Inferior meatus

Explanation: Ans: (a) Inferior meatuesRef: Dhingra's ENT 6th ed./ 187-88